All are relations of left ureter EXCEPT:
1. Sigmoid mesentery
2. Bifurcation of common iliac artery
3. Quadratus lumborum
4. Gonadal vessels

Correct answer: 3. Quadratus lumborum

Explanation: Left ureter is related posteriorly to psoas major muscle (not quadratus lumborum). Posterior relations:- Both the ureters run anterior to psoas major muscle and bifurcation of common iliac artery. Anterior relation:- Gonadal vessels cross the ureters anteriorly (medial to lateral) and descend down along with them. Medially the right ureter is related to inferior vena cava and left ureter is related to inferior mesenteric vein.